"Intestinal angina" is a symptom complex of the following:
1. Postprandial abdominal pain, weight loss, acute mesenteric vessel occlusion
2. Postprandial abdominal pain, weight loss, chronic mesenteric vessel occlusion
3. Pre-prandial abdominal pain, weight loss, chronic mesenteric vessel occlusion
4. Pre-prandial abdominal pain, weight gain acute mesenteric vessel occlusion

Correct answer: 2. Postprandial abdominal pain, weight loss, chronic mesenteric vessel occlusion

Explanation: Answer is B (Postprandial Abdominal Pain, Weight loss and Chronic mesenteric vessel occlusion) Chronic intestinal ischemia presents with intSestinal angina or abdominal pain associated with need for increased blood flow to the intestine. Patients report abdominal pain cramping and pain following ingestion of meal (postprandial abdominal pain Weight loss and chronic diarrhea are also noted - Harrison 16th / 1799 What is Intestinal Angina : Journal of Emergency Medicine : Review Article. Intestinal angina refers to the clinical syndrome seen in association with Chronic Mesenteric Ischaenzia. It is characterized by reduced mesenteric blood flow that interferes with physiological function but does not cause infarction. Mesentric angina is the result of intestinal hypoperfusion through two of the three major vessels supplying the small intestine. - Superior Mesentric Artery - Celiac artery - Inferior Mesentric Artery Presentation Post Prandial Abdominal Pain : Abdominal pain that starts about 30 minutes after eating and lasts for one to two hours. Fear of eating and weight loss : Once the patient realizes the relationship between eating and pain. Diarrhea, Nausea, Vomiting Diagnosis Gold standard for confirmation of mesenteric arterial occlusion (chronic mesenteric ischaemia) is Angiography - Harrison (Note that Gold standard for diagnosis of acute mesenteric ischaemia is Laparotomye. Surgical exploration should not be delayed).